All are recommended for treatment of Primary lung abscess except:
1. Moxifloxacin
2. Clindamycin
3. Amoxicillin- clavulanate
4. Metronidazole

Correct answer: 4. Metronidazole

Explanation: Metronidazole alone is never recommended in the treatment of lung abscess, It is effective against anaerobic organism but the streptococci (Microaerophilic) will be spared which are often the component of flora causing lung abscess. Treatment regimen 1. Clindamycin- 600 mg IV TDS When fever disappear and clinical improvement is there Start with per oral 300 mg QID 2. IV-administered b-lactam/b-lactamase combination When stable, start oral amoxicillin-clavulanate. 3. Moxifloxacin 400 mg/d PO is as effective and well tolerated as ampicillin-sulbactam Treatment duration: 3-4 weeks or as long as 14 weeks